All of the following are true about brain metastasis except:
1. Frontal lobe is the most common site
2. Lesions are located at the gray-matter and white-matter junction
3. Most common primary site is breast cancer
4. Chemotherapy can be used in brain metastases due to small cell lung cancer and seminomas

Correct answer: 3. Most common primary site is breast cancer

Explanation: M/c brain tumor is Metastasis M/C primary site for brain metastasis is Ca Lung > Ca breast Frontal lobe is the most common site Lesions are located at the gray-matter and white-matter junction Treated with both Surgery and Radiotherapy (whole brain Radiotherapy) Chemotherapy is not helpful Exceptions: - Can be used in brain metastases due to small cell lung cancer and seminomas